The following are the features of β thalassemia major except –
1. Bone marrow hyperplasia
2. Hair–on–end appearance
3. Splenomegaly
4. Increased osmotic fragility

Correct answer: 4. Increased osmotic fragility